Which anaesthetic belongs to ester group?
1. Procaine
2. Times New Roman
3. Lignocaine
4. Propofol

Correct answer: 1. Procaine

Explanation: Ans. is 'a' i.e., Procaine Esters (aminoesters) :- Procaine, chlorprocaine, tetracaine (amethocaine), Benzocaine, Cocaine. Amides (aminoamides) Lignocaine, Mepivacaine, Prilocaine, Bupivacaine, Etidocaine, Ropivacaine , Dibucaine.